A vitamin B6 deficiency reduces the effectiveness of transaminase enzymes. Which amino acid is formed from transamination of a-ketoglutarate?
1. Glycine
2. Glutamine
3. Asparagine
4. Glutamate

Correct answer: 4. Glutamate

Explanation: Glutamate is formed from a-ketoglutarate by the enzymes aspartate aminotransferase and alanine aminotransferase.